Which one of the following biochemical parameters is the most sensitive to detect open spina bifida ?
1. Maternal serum alpha fetoprotein
2. Amniotic fluid alpha fetoprotein
3. Amniotic fluid acetyl cholinesterase
4. Amniotic fluid glucohexaminase

Correct answer: 3. Amniotic fluid acetyl cholinesterase